Lactose fermentation is seen in -
1. Blood agar
2. Chocolate agar
3. MacConkey agar
4. LJ medium

Correct answer: 3. MacConkey agar

Explanation: Ans. is 'c' i.e., MacConkey agar o Culture on differential media that contain special dyes and carbohydrates distinguishes lactose-fermenting (colored) from non-lactose-fermenting (non-pigmented) colonies and may allow rapid presumptive identification of enteric bacteria.o Such media, used to see lactose fermentation, are :-Eosine-methylene blue (EMB)MacConkey's agarDeoxycholate agar